Best method of estimation of amount of proteinuria in a 2 year old child with nephrotic syndrome is
1. Dipstick test
2. 24 hr urine protein
3. Microalbuminuria
4. Spot urine sample for Protein/ Creatinine ratio

Correct answer: 4. Spot urine sample for Protein/ Creatinine ratio